In diet counseling to reduce caries
1. Sugar is restricted to meals time
2. Sugar is restricted to one times a day
3. Restricted to only liquid sugars
4. Restricted to fibrous food.

Correct answer: 1. Sugar is restricted to meals time